Donath Landsteiner is seen in -
1. PNH
2. Waldenstrom's macroglobulinemia
3. Paroxysmal cold hemoglobinuria
4. Malaria

Correct answer: 3. Paroxysmal cold hemoglobinuria

Explanation: Paroxysmalcoldhaemoglobinuria (PCH). In PCH, the cold antibody is an IgG antibody (Donath-Landsteiner antibody) which is directed against P blood group antigen and brings about complement-mediated haemolysis. Attacks of PCH are precipitated by exposure to cold. PCH is uncommon and may be seen in association with tertiary syphilis or as a complication of certain infections such as Mycoplasma pneumonia, flu, measles and mumps HARSH MOHAN Textbook of pathology 6th edition pg no 313